The normal range of serum osmolality (in mOsm/L):
1. 270 to 285
2. 300 to 320
3. 350 to 375
4. 200 to 250

Correct answer: 1. 270 to 285

Explanation: Normal serum osmolality ranges from 270-285 mOsm/L while in neonates, serum values as low as 266 mOsm/kg . And normal urine osmolality ranges from 40-1400 mOsm/L. Ref: Harrison's Principles of Internal Medicine, 16th Edition, Page 252; Handbook of Fluid, Electrolyte, and Acid-Base Imbalances By Joyce LeFever Kee, Betty J. Paulanka, Carolee Polek, 2009, Page 8.